All true about dosing of succinylcholine except-
1. In adults, a dose of 1.0 mg/ kg body weight can yield intubating condition
2. Children are resistant to succinylcholine so Between 1 to 2 mg/kg required
3. Infant the dose is Between 2-3 mg/kg
4. In obese , dose in calculated according to lean body weight

Correct answer: 4. In obese , dose in calculated according to lean body weight

Explanation: In obese individuals, the dose of succinylcholine in milligram per kg of actual body weight is the same as in leaner patients. Calculating the dose per kg ideal body weight (I BETWEEN) might lead to under-dosing. The volume of distribution, expressed per kg of actual body weight of succinylcholine is probably decreased but this is compensated by an increase in plasma cholinesterase activity.